Jarisch Herxheimer reaction is commonly seen in-
1. Early syphilis
2. Late congenital syphilis
3. Latent syphilis
4. Syphilis of cardiovascular system

Correct answer: 1. Early syphilis

Explanation: Jarisch herxheimer reaction acute self limiting febrile reaction that follow antibiotic therapy for syphilis develops after few hrs after initiation of treatment avg-6-7 hrs common in : early syphilis, secondary syphilis subsides in 12-48hrs clinical features: flu like symptoms, myalgia, arthralgias, headache,fever and hypotension lab: elevated neutrophils, and raised esr treatment: rest, asprin prevention : prednisone exercises 5mg aid 2 days prior to Rex, chlorphenaramine maleate prior to penicillin injection iadvl textbook of dermatology page 1836